Which of the following IUCD's has a life span of 10 years?
1. Cu T 200
2. Cu T 380A
3. NOVA - T
4. Multiload

Correct answer: 2. Cu T 380A

Explanation: Cu T 380A is a hormone containing IUD. It has a 380mm2 surface area of copper wire wound around the stem and copper sleeves on the horizontal arms. It has a life span of 10 years. Ref: Textbook of gynecology by D C Dutta 4th Edition, Page 440.